Eugene Blueler's 4As include following except ?
1. Autism
2. Affect
3. Anhedonia
4. Association

Correct answer: 3. Anhedonia

Explanation: Ans. C. AnhedoniaBleuler's 4 'As' are: (l) Ambivalence (2) Autism; (3) Affect disturbances (inappropriate affect); and (4) Association disturbances (loosening of association, thought disorder).